Proteins are separated on the basis of size by:
1. SDS-PAGE
2. HPLC
3. Affinity Chromatography
4. Ion-exchange Chromatography

Correct answer: 1. SDS-PAGE

Explanation: A i.e. SDS- PAGE